ln multiparous women, external os is i
1. Circular
2. Longitudinal
3. Transverse
4. Septate

Correct answer: 3. Transverse

Explanation: Transverse